True about dentition are all except
1. Hypothyroidism causes delayed dentition
2. Premolar is not seen in primary dentition
3. Third molar is last to appear in secondary dentition
4. Canine is the first in primary dentition

Correct answer: 4. Canine is the first in primary dentition

Explanation: The first tooth to erupt in primary dentition is the lower central incisor at 6-10 yrs of age, and in upper jaw at the age of 8-12 yrs. Whilst the canine in primary dentition appears at the age of 16-22 yrs, in the upper jaw. Ref: Ghai, 9th edition, Table 2.2.